Most common antigen involved in erythroblastosis fetalis is -
1. C antigen in Rh group
2. D antigen in Rh group
3. E antigen in Rh group
4. Duffy antigen

Correct answer: 2. D antigen in Rh group

Explanation: Ans. is 'b' i.e., D antigen in Rh group Erythroblastosis fetalis (Hemolytic Disease of newborn)o Erythroblastosis fetalis is caused by the transplacental passage of maternal antibody active against paternal RBC antigens of the infant and is characterized by an increased rate of RBC destructiono Although more than 60 different RBC antigens are capable of eliciting an antibody response, significant disease is associated primarily D antigen of Rh group and with ABO incompatibility.Other rare antigens involved are -o C or E antigen of Rh groupo RBC antigens - Cw, Cx, Cu, K (kell), M, Dufly, S, P, MNS, Xg, Lutheran, Diego and Kiddo Anti-Lewis antibodies do not cause disease.